For severe malnutrition MAC will be less than
1. 14.5
2. 13.5
3. 12.5
4. 11.5

Correct answer: 4. 11.5

Explanation: For severe malnutrition, MAC is < 11.5 cm Severe acute malnutrition In a child between 6 months to 5 years of age, presence of any1 or more of- Weight for height < -3 Z score or < 70% of expected Mid arm circumference - < 11.5 cm Symmetric bipedal edema of nutritional origin Visible severe wasting;